Hemiplegia is most often caused by thrombosis of:
1. Anterior cerebral artery
2. Middle cerebral artery
3. Posterior cerebral artery
4. Basilar artery

Correct answer: 2. Middle cerebral artery

Explanation: Hemiplegia occurs most commonly due to occlusion of middle cerebral artery. Paraplegia occurs due to occlusion of anterior cerebral artery. Posterior cerebral artery occlusion leads to Homonymous visual-field cut, usually a complete hemianopia Macular or central field sparing can occur if the occipital pole remains intact through blood supply from a branch of the middle cerebral artery.